Structure not forming watershed area
1. Splenic flexure
2. Brain
3. Duodenum
4. Sigmoid colon - rectum

Correct answer: 3. Duodenum

Explanation: Watershed area is the medical term referring to regions of the body that receive dual blood supply from the most distal branches of two large arteries, such as the splenic flexure of the large intestine. Watershed areas are found in the brain, where areas are perfused by both the anterior and middle cerebral arteries, and in the intestines, where areas are perfused by both the superior and inferior mesenteric arteries (i.e., splenic flexure). Additionally, the sigmoid colon and rectum form a watershed zone with blood supply from inferior mesenteric, pudendal and iliac circulations. Hypoperfusion in watershed areas can lead to mural and mucosal infarction in the case of ischemic bowel disease. When watershed stroke occurs in the brain, it produces unique focal neurologic symptoms that aid clinicians in diagnosis and localization.